Which of the following is inherited as autosomal recessive?
1. Achondroplasia
2. Tuberous sclerosis
3. Hemochromatosis
4. Osteogenesis imperfecta

Correct answer: 3. Hemochromatosis

Explanation: c. Hemochromatosis(Ref: Nelson's 20/e p 595, Ghai 8/e p 640)Important autosomal recessive diseases: "ABCDEFGHI"A - AlbinismQ, AlkaptonuriaQ, Ataxia, TelangiectasiaQB - Beta (thalassemiaQ, Sickle cell anemiaQ)C - Cystic fibrosisQ, Congenital adrenal hyperplasiaD - DeafnessE - Emphysema (a1-antitrypsin deficiency)F - Friedrich's AtaxiaQG - Gaucher diseaseQ, GalactosemiaH - Homocystinuria, HemochromatosisQI - Inborn errors of metabolsimQ